When a drug creates an effect that is unpredictable and unique it is termed as
1. Side effect
2. Toxicity effect
3. Idiosyncratic effect
4. Drug-on Drug effect

Correct answer: 3. Idiosyncratic effect